. Sulphasalazine is NOT used for the treatment of-
1. Crohn's disease
2. Rheumatoid arthritis
3. Sarcoidosis
4. Ulcerative colitis

Correct answer: 3. Sarcoidosis

Explanation: Sulhasalazine is not used for treatment of sarcoidosis As a treatment for sarcoidosis, these drugs are most likely to be effective in people who have skin symptoms or a high level of calcium in their blood. Hydroxychloroquine (Plaquenil) and chloroquine (Aralen) are antimalarial drugs that are used to treat sarcoidosis Ref Davidson 23rd edtion pg 981